Which of the following types of mosquitoes can be controlled by removing & destroying the aquatic plants by herbicides?
1. Aedes
2. Culex
3. Mansonia
4. Anopheles

Correct answer: 3. Mansonia

Explanation: Ans. c (Mansonia) (Ref. Park PSM 22nd/624, 626)# Control of Mansonia mosquito is easy, i.e., by removal/destruction of aquatic host plants by herbicides.# Use of herbicide to destroy aquatic plants kills the Mansonia larvae as they grow on pisita plants.There are two main tribes of mosquitoes - Tribe anopheline and Tribe culicini.# The tribe anopheline contains only one genus:- Anopheles.# The tribe Culicini is represented in India by 15 genera, of which the important ones are:- Culex, - Aedes, and - Mansonia.Mansonia# They are big, black or brown with speckling on their wings and legs.# The common Indian species are:- M. annulifera, M. uniformis, M. indiana and M. longipalpis.# Breed in ponds and lakes containing aquatic plants, especially the floating ones like Pistia strtiotes and water hyacinth.# The eggs are laid on the undersurface of leaves.# The larvae and pupae are found attached to the rootlets of these plants by their siphon tubes; they obtain their air supply from these rootlets.# When about to become adults, the pupae come to water surface and fully formed adults emerge and escape. Control:-1. BiologicalThe best knowns are the Gambusia affinis, Lebister reticulates and Brabel fish.These fish were used successfully in eradicating guinea worm in parts of Kar state.2. Chemical Control:The commonly used larvicides are:a) Mineral oils , b) Paris green and c) Synthetic insecticides.PARIS GREEN (stomach poison):# Copper acetoarsenite is an emerald green.# Paris green kills mainly the Anopheles larvae because they are surface-feeders.SYNTHETIC INSECTICIDES: Fenthion, Clorpyrifos, and Abate are the most effective larvicides.